According to Kubler-Ross, the most common order of emotional reactions in grief is
1. Anger, depression, bargaining, denial, acceptance.
2. Denial, anger, bargaining, depression, acceptance
3. Anger, depression, denial, bargaining, acceptance
4. Aenial, bargaining , anger, depression, acceptance

Correct answer: 2. Denial, anger, bargaining, depression, acceptance

Explanation: DABDA(mnemonic to remember)